Following is true statement about enzymes?
1. In competitive inhibition Vmax unchanged but Km increased
2. In uncompetitive inhibition Km unchanged but Vmax increased
3. In uncompetitive inhibition Km unchanged but Vmax changed
4. In uncompetitive inhibition mixed increase of Vmax and Km value

Correct answer: 1. In competitive inhibition Vmax unchanged but Km increased

Explanation: Ans. is 'a' i.e., In competitive inhibition Vmax unchanged but Km increased Type of inhibitor Km Vmax Reversible inhibbitor Competitive Increased No effect Non-competitive No effect Decreased Uncompititive Decreased Decreased Irrversible inhibitor No effect Decreased (same as reversible competitive)